Doctors role in noting dying declaration is to-
1. Ascertain compos mentis
2. Call the magistrate
3. Elicit information by leading questions
4. Ask the investigating medical officer to be there

Correct answer: 1. Ascertain compos mentis

Explanation: Before recording the statement of dying declaration, the doctor should certify that the person is conscious and his mental faculties are normal (compos mends).